Salvage purine synthesis refers to
1. Synthesis of purine from ribose-5-phosphate
2. Synthesis of purine from pyrimidine
3. Synthesis of purine nucleotides from purine bases
4. None of the above

Correct answer: 3. Synthesis of purine nucleotides from purine bases

Explanation: Nucleotides and nucleosides can be supplied to an organism by either a salvage reaction or by synthesis from smaller precursors. Salvage reactions convert free purine and pyrimidine bases into nucleotides. Additionally, free purines and pyrimidines can be degraded, the purines to the oxidized ring compound uric acid and the pyrimidines to smaller compounds (b-amino acids, not the a-amino acids found in proteins). Finally, purines and pyrimidines can be synthesized from smaller precursors ( de novo synthesis). Thus three interacting pathways for nucleotides, nucleosides, and the free bases exist salvage, degradation, and biosynthesis. Ref-Sathyanarayana 4/e p471